Hypoglycemia caused by anti-hyperglycemic drugs like sulfonylureas can be classiﬁed as (adverse drug reaction):
1. Type A
2. Type B
3. Type C
4. Type D

Correct answer: 1. Type A

Explanation: Type A: Augmented pharmacologic eﬀects - Dose dependent and predictable e.g. hypoglycemia caused by anti-hyperglycemic drugs like sulfonylureas.
Type B: Bizarre eﬀects (or idiosyncratic) - Dose independent and unpredictable e.g. allergic reactions caused by penicllins.
Type C: Chronic eﬀects e.g. peptic ulcer caused by chronic use of NSAIDs.
Type D: Delayed eﬀects e.g. teratogenicity caused by thalidomide.
Type E: End-of-treatment eﬀects e.g. withdrawal response to morphine.
Type F: Failure of therapy.